An enzyme that protects the brain from free radical injury is -
1. Myeloperoxidase
2. MAO
3. Superoxide dismutase
4. Hydroxylase

Correct answer: 3. Superoxide dismutase